Which of the following is cariogenic?
1. Selenium
2. Vanadium
3. Strontium
4. Molybdenum

Correct answer: 1. Selenium